All are Flaviviruses except,
1. HCV
2. Chikungunya
3. Yellow fever
4. Japanese B encephalitis virus

Correct answer: 2. Chikungunya

Explanation: Chikungunya belongs to the genus alphavirus of the family Togaviridae. Two genera of medical importance in Flaviruses- Flavivirus: arthropod borne viruses; Yellow fever, JEV, Dengue... Hepacivirus: Hepatitis C virus, non-arthropod borne Two genera of medical importance in Togaviruses- Genus- Alphavirus: Chikungunya, Onyong-nyong, WEE, VEE, EEE. Genus- Rubivirus: Rubella.